Heat stable enterotoxin causing food poisoning is caused by all the following, EXCEPT:
1. Bacillus cereus
2. Staphylococcus
3. Yersinia enterocolitica
4. Clostridium perfringens

Correct answer: 4. Clostridium perfringens

Explanation: Clostridium perfringens produces 12 distinct toxins including several enterotoxins. Food poisoning is caused by an enterotoxin which is heat labile. The 4 major toxins produced by it are alpha, beta, epsilon and iota. Alpha toxin which is a phospholipase C is associated with gas gangrene. It is hemolytic, hot-cold variety toxin produced by all Cl.perfringens but most abundantly by Type A. It shows Nagler reaction in which zone of opacity is formed where there is no antitoxin. Lecithinase is also produced by Cl.novyi, Cl.bifermentans, some vibrios. It initiates muscle infection that may progress to gas gangrene. Beta and iota toxin also have lethal and necrotizing properties. Theta toxin - hemolysis, is antigenically related to streptolysin O, also known as Perfringolysin O. It also produces neuraminidase, histamine - bursting factor etc. Ref: Textbook of Microbiology By Ananthanarayan and Panicker, 8th Edition, Page 395